Transovarian transmission is seen in -
1. Ticks
2. Louse
3. Flea
4. None

Correct answer: 1. Ticks

Explanation: Ans. is 'a' i.e., Ticks o Transovarian transmission in arthropod vector is seen in scrub typhus (mite), RMSF (tick), indian tick typhus (tick) and rickettsial pox (mite).